Infestation with Clonorchis sinensis increases risk of
1. Gall bladder cancer
2. Cholangiocarcinoma
3. Hepatocellular carcinoma
4. Carcinoma head of pancreas

Correct answer: 2. Cholangiocarcinoma

Explanation: Asiatic cholangiohepatitis The causative parasite is Clonorchis sinensisProduces bile duct hyperplasia, intrahepatic duct dilatation and stonesIncreases the risk of cholangiocarcinomaStool examination for eggs or worms is diagnosticUltrasound scan of the hepatobiliary system and ERCP are also diagnosticPraziquantel and albendazole are the drugs of choice.Cholecystectomy with exploration of the common bile duct is performed when CBD stones are presentRef: Bailey and Love 27e pg: 63